Which of the following cranial nerve has no somatic motor nucleus ?
1. Oculomotor
2. Trochlear
3. Facial
4. Abducens

Correct answer: 3. Facial

Explanation: Ans. is 'c' i.e., Facial